Which wall of heart is enlarged first in a patient with mitral stenosis
1. Right atrium
2. Left atrium
3. Right ventricle
4. Left ventricle

Correct answer: 2. Left atrium

Explanation: * Rheumatic fever is the leading cause of mitral stenosis (MS). Other less common etiologies of obstruction to left ventricular inflow include: * congenital mitral valve stenosis, * cor triatriatum, * mitral annular calcification with extension onto the leaflets, * systemic lupus erythematosus, * rheumatoid arthritis, * left atrial myxoma, and * infective endocarditis with large vegetations. * Pure or predominant MS occurs in ~40% of all patients with rheumatic heart disease and a history of rheumatic fever. Mitral Stenosis Pathophysiology:- Ref:- Harrison'sTM Principles of Internal Medicine 20th edition; pg num:- 1813